Optical media are clear in:
1. Cavernous sinus thrombosis
2. Orbital cellulitis
3. Both of the above
4. None of the above

Correct answer: 3. Both of the above

Explanation: Ans. Both of the above